cDNA from RNA is synthesized by -
1. Helicase
2. DNA dependent DNA polymeraze
3. Topoisomerase
4. Reverse transcriptase

Correct answer: 4. Reverse transcriptase

Explanation: Ans. is 'd' i.e., Reverse transcriptase o The enzyme RNA dependent DNA polymerase (reverse transcriptase) is responsible for the formation of DNA from RNA.o This DNA is complementory (c DNA) to viral RNA and can be transmitted into host DNA.